Which is the most common type of persistent delusional disorder ?
1. Delusion of persecution
2. Somatic delusion
3. Delusion of jealousy
4. Delusion of grandeur

Correct answer: 1. Delusion of persecution

Explanation: Ans. A. Delusion of persecution Delusion of persecution is the most common type of persistent delusional disorder.